Rate limiting enzyme in glycolysis
1. Phosphofructokinase
2. Glucose 6 dehydrogenase
3. Pyruvate kinase
4. Pyruvate carboxylase

Correct answer: 1. Phosphofructokinase

Explanation: Fructose-6-phosphate is further phosphorylated to fructose1,6 bisphosphate. The enzyme is phosphofructokinase. is the rate-limiting enzyme of glycolysis. It is an allosterically regulated enzyme catalyzes the second phosphorylation step of glycolysis using a second molecule of ATP is an important key enzyme of this pathwayRef: DM Vasudevan, 7th edition, page no: 109